Low Erythropoetin levels are seen in:
1. Aplstic Anemia
2. Renal failure
3. Obesity
4. Hepatoma

Correct answer: 2. Renal failure

Explanation: Answer is B (Renal failure) Renal Failure is associated with reduced erythropoietin levels due to decreased production of erythropoietin by the diseased kidney. The kidney is the primary site of erythropoietin production producing more than 85 percent of total erythropoietin. Chronic Renal failure is associated with severe anemia. The most important contributor to the anemia of chronic renal failure is insufficient production of Erythropoetin. Patients with inflammatory disorders (Anemia of chronic disease) also have inappropriately low levels of Erythropoetin. Examples include Rheumatoid arthritis, some forms of Cancer and AIDS. This is believed to result from suppression of EPO gene expression by inflammatory cvtokines in these disorders. Causes of Anemia in Chronic Renal Failure and other Chronic Diseases Decreased production of ErythropoetinQ Reduced survival of RBCsQ Impaired flow of iron from bone marrow macrophages to erythroblasts.